The investigation of choice for renal scarring defect in kidney:
1. DMSA scan
2. DTPA scan.
3. Dexa scan
4. MCU

Correct answer: 1. DMSA scan

Explanation: Ans. (a) DMSA scanRef: Bailey 26th Edition, Pages 1276-1277* IOC for Renal Structure scarring - DMSA* IOC for Congenital PUJ obstruction - DTPA